Which of the following pigments are involved in free radical injury?
1. Lipofuscin
2. Melanin
3. Bilirubin
4. Hematin

Correct answer: 1. Lipofuscin

Explanation: In aging or debilitating diseases the phospholipid end-products of membrane damage mediated by oxygen free radicals to get eliminated by intracellular lipid peroxidation. These, therefore, persist as collections of indigestible material in the lysosomes; thus lipofuscin is an example of residual bodies. Ref: Textbook of Pathology HARSH MOHAN 7th Edition page no.25